Pharyngoconjunctival fever type of acute follicular conjunctivitis is not caused by which of the following strain of Adenovirus?
1. 3
2. 4
3. 7
4. 8

Correct answer: 4. 8

Explanation: Adenovirus 8 causes Epidemic Keratoconjunctivitis type of acute follicular conjunctivitis.